Dieulafoy's lesion is:
1. Prolapse gastropathy
2. Gastric antral vascular ectasia
3. Gastric hemorrhagic telangiectasias
4. Aberrant vessel in the sub mucosa that bleeds from a mucosal defect

Correct answer: 4. Aberrant vessel in the sub mucosa that bleeds from a mucosal defect

Explanation: DIEULAFOY'S GASTRIC LESION Caused by an abnormally large (1-3 mm)Q, tortuous artery coursing through the submucosa. * Occurs 6-10 cm from the GE junction, generally in 'fundus' near the cardia along lesser curvatureQ. Diagnosis Endoscopy is the diagnostic modality of choice Treatment: Initial attempts at endoscopic control are often successfulQ. In cases that fail endoscopic therapy, angiographic coil embolization can be successfulQ.